In Gaucher's diseases, there is deficiency of?
1. Glucocerebrosidase
2. Glucokinase
3. Sphingomyelinase
4. G-6PD

Correct answer: 1. Glucocerebrosidase

Explanation: A i.e. Glucocerbrosidase